True about pulmonary embolism -a) ECG shows right ventricular strain patternb) PAO2-PaO2 difference in normalc) ECG also shows typical S1Q3 T3 patternd) Not a medical emergency
1. a
2. bc
3. ad
4. ac

Correct answer: 4. ac